In human being, the least useful physiological response to low environmental temperature is:
1. Shivering
2. Vasoconstriction
3. Release of thyroxine
4. Piloerection

Correct answer: 4. Piloerection

Explanation: D i.e. Piloerection